Which of the following scoring system is used to see chest involvement in Sarcoidosis?
1. Brasfield scoring system
2. Wisconsin scoring system
3. Shwachman-Kulczycki scoring system
4. Scadding scoring system

Correct answer: 4. Scadding scoring system

Explanation: Pulmonary sarcoidosis is classified on a chest radiograph into 5 stages based on Scadding criteria:- Stage 0: Normal chest radiograph Stage I: Hilar or mediastinal nodal enlargement only Stage II: Nodal enlargement and parenchymal disease Stage III: Parenchymal disease only Stage IV: End-stage lung (pulmonary fibrosis) Rest 3 scoring systems are used for the assessment of Cystic fibrosis.